Most common cause of postpartum hemorrhage is:
1. Uterine atony
2. Retained products
3. Trauma
4. Bleeding disorders

Correct answer: 1. Uterine atony

Explanation: Most common cause of primary postpartum hemorrhage is Atonic uterus Most common cause of secondary postpartum hemorrhage is Retained placenta Ref: Datta Obs 9e pg 393.